In gene cloning, largest fragment can be incorporated in -
1. Plasmid
2. Bacteriophage
3. Cosmid
4. Retrovirus

Correct answer: 3. Cosmid